Henoch schonlein purpura is associated with following deposits?
1. Ig M
2. Ig A
3. IgD
4. IgE

Correct answer: 2. Ig A

Explanation: Ans is 'b' i.e. IgA o There is deposion of IgA, sometimes with IgG and C3, in the mesangial region in HSRo IgA is deposited in the glomerular mesangium in a distribution similar to that of IgA nephropathy. This has led to the concept that IgA nephropathy and Henoch-Schonlein purpura are spectra of the same disease.